E6, E7 genes of which virus are implicated in oncogenesis ?
1. EBV
2. CMV
3. HTLV- 1
4. HPV

Correct answer: 4. HPV

Explanation: Ans. is 'd' i.e., HPV HPV selectively infects the epithelium of skin and mucous membrane and may immortalize the keratinocytes leading either asymptomatic infection, or warts or neoplasia. Products of E-genes (E6, E7) are related to immortalization or malignant transformation of keratinocytes by interfering with p53 and Rb genes, respectively.